The level of which hormone is unchanged in pregnancy
1. Prolactin
2. Growth hormone
3. ACTH
4. Plasma vasopressin

Correct answer: 4. Plasma vasopressin

Explanation: The levels of ACTH, CRR, and Prolactin increase; the level of GH increases during pregnancy due to its variant syncytiotrophoblast. Plasma vasopressin levels remain unchanged